Lardaceous spleen is due to deposition of amyloid in -
1. Sinusoids of red pulp
2. White pulp
3. Pencilary artery
4. Splenic trabeculae

Correct answer: 1. Sinusoids of red pulp

Explanation: Ans. is 'a' i.e., Sinusoids of red pulp Organs involved in Amyloidosis Kidney Has been explained Spleen o One of the two patterns of deposition is seen ? Sago spleen ---> Amyloid deposition is largely limited to splenic follicles, it produces topioca like granules on gross inspection. Lardoceous spleen --> Amyloid depositon spares the follicles and instead involves the walls of the splenic sinuses and connective tissue framework in red pulp. Heart o Cardiac symptoms are the second most common presentation (after kidney). o More common in primary amyloid (AL). Though the second most commonly affected organ, it is the leading cause of mortality o It is also the major organ involved in senile systemic amyloidosis. o There is focal subendocardial deposition and intermyocardial deposition (between myocardial fibres). Subendocardial deposits can damage conduction system. Liver o Amyloid appears first in space of Disse and then progressively encroaches on adjucent hepatic parenchymal cells and sinusoids. o Normal liver functions are preserved despite sometimes quite severe involvement of the liver. Adrenal Deposits begin adjacent to the basement membranes of cortical cells, usually first in the zona glomarulosa. Tongue o Deposition in Tongue cause macroglossia --> tumor forming amyloid of tongue. Peripheral and automatic nerves In familial amyoloidotic neuropathies. Carpal - tunnel o Most prominant in hemodialysis associated amyloidosis, and can cause carpal tunnel syndrome. In brain In senile plaques of Alzheimer disease.